A Blom-Singer prosthesis is used:
1. As a ventilation tube in otitis media with effusion
2. To close a perforation in nasal septum
3. To divert tracheal air into oesophagus for voice production in laryngeal patients
4. In stapedectomy to conduct sound from incus to oval window

Correct answer: 3. To divert tracheal air into oesophagus for voice production in laryngeal patients

Explanation: Blom-Singer prosthesis is used in laryngectomised patients to divert tracheal air to oesophagus for production of voice.Prosthesis used to ventilate middle ear in otitis media with effusion is called a ''grommet" or ventilation tube.Septal button made of silicon or Teflon is used to close septal perforation.Stapes replacement prosthesis made of Teflon, tefwire, platinum or stainless steel is used in stapedectomy.